Cause of Dupuytren's contracture is -
1. DM
2. Alcohol
3. Smoking
4. All of the above

Correct answer: 4. All of the above

Explanation: Ans. is 'd' i.e., All of the above o Dupuytren's contracture is characterized in the established phase by flexion contracture of one or more fingers from thickening and shortening of palmar aponeurosis.o The exact etioloev is unknow: However, the condition is more commonlv associated with following conditionsi) Epileptics taking phenytoinii) Diabetesiii) Smokingiv) Alcoholic cirrhosisv) AIDSvi) Pulmonary TBo Often both hands are affected (Bilateral disease), one more than the other.o The earliest sign is a small thickened nodule in the mid-palm opposite the base of ring finger.o Gradually this extends dis tally to involve the ring or little finger.o There is a rare, curious association with fibrosis of the corpus Cavemosum.